All of the following are true about Childhood Polycystic Kidney Disease, except:
1. Autosomal Dominant
2. Pulmonary Hypoplasia may be seen
3. Renal cysts are present at birth
4. Congenital Hepatic fibrosis may be seen

Correct answer: 1. Autosomal Dominant

Explanation: Childhood polycystic kidney disease is autosomal recessive. Ref: Nelson's Textbook of Pediatrics, 18th Edition, Page 1706; Robbins Basic Pathology, 7th Edition, Page 964; Clinical Pediatric Nephrology, 2nd Edtion, Page 262; Harrison's Internal Medicine, 16th Edition, Page 1696